Oil drop cataract is seen in:
1. Hunter's syndrome
2. Galactosemia
3. Steroid therapy
4. Rubella

Correct answer: 2. Galactosemia

Explanation: b) galactosemia refkhurana 3rd/e p. 194